Obturator nerve arises from
1. Ventral division of L2 L3 L4
2. Dorsal division of L2 L3 L4
3. Ventral rami of L1 L2
4. Dorsal rami of L1 L2

Correct answer: 1. Ventral division of L2 L3 L4

Explanation: (Ventral rami of L2 L3 L4) (171, 320-BDC-2 4th)OBTURATOR NERVE - is a branch of lumbar plexus, it arises from ventral division of L2 L3 L4 segments of spinal cords.Branches of obturator nerve : Anterior divisionPosterior divisionMuscularPectineus, adductor longus, adductor brevis, gracilisObturator extemus, adductor magnus (adductor part)ArticularHip jointKnee jointVascular and cutaneousFemoral artery, Medial side of thighPopliteal arteryBranches of the lumbar plexus1. Iliohypogastric nerve (L1)2. Ilioinguinal nerve (L1)3. Genitofemoral nerve (L1, L2 ventral divisions)4. Obturator nerve (L2, L3 L4 ventral division)5. Lumbosacral trunk (L4, L5 ventral rami)6. Lateral cutaneous nerve of the thigh (L2 L3 dorsal division)7. Femoral nerve (L2, L3 L4 dorsal divisions)